Which of the following drugs is an inhibitor of cytochrome p450 enzymes ?
1. Ketoconazole
2. Rifampicin
3. Phenytoin
4. Phenobarbitone

Correct answer: 1. Ketoconazole

Explanation: - Cytochrome p450 enzymes are microsomal enzymes (present on smooth endoplasmic reticulum).
- Of the given options, only Ketoconazole is a microsomal enzyme inhibitor. Rest all are enzyme inducers.